In one single visit, a 9 month-old, un-immunized child can be given the following vaccination -
1. Only BCG
2. BCG, DPT-1, OPV-1
3. DPT-1, OPV-1, Measles
4. BCG, DPT-1, OPV-1, Measles

Correct answer: 4. BCG, DPT-1, OPV-1, Measles